Regarding teeth which statement is wrong?
1. Enamel is harder than dentine
2. Enamel has no cells
3. Ameloblast secrete enamel and dentine
4. Odontoblast produce dentine

Correct answer: 3. Ameloblast secrete enamel and dentine